An undifferentiated malignant tumour on immunohistochemical stain shows cytoplasmic positivity of most of the tumor cells for cytokeratin. The most probable tumor is:
1. Sarcoma
2. Lymphoma
3. Carcinoma
4. Malignant Melanoma

Correct answer: 3. Carcinoma

Explanation: . Carcinoma